Fibroid uterus is the neoplasm that arises from:
1. Endometrium
2. Myometrium
3. Perimetrium
4. Visceral peritoneum

Correct answer: 2. Myometrium

Explanation: Fibroid (Leiomyoma) is derived from smooth muscle cell rests either from vessel walls or uterine musculature.